Which of the following LA's can cause Methemoglobinemia?
1. Prilocaine
2. Lignocaine
3. Benzocaine
4. All of the above

Correct answer: 4. All of the above

Explanation: Prilocaine >Lignocaine, Benzocaine can oxidize hemoglobin & cause methemoglobinemia.